Foramen ovale closes because of fusion of -
1. Septum primum + Endocardial cushion
2. Septum secundum + Endocardial cushion
3. Septum primum + Septum secundum
4. None

Correct answer: 3. Septum primum + Septum secundum